Which of the following best describe Anrep effect ?
1. Increased preload decreases cardiac contractility
2. Increased after load increases cardiac contractility
3. Increased preload decreases cardiac relaxation
4. Decreased after load decreases cardiac relaxation

Correct answer: 2. Increased after load increases cardiac contractility

Explanation: Anrep effect: - Increased afterload increases cardiac contractility. Autoregulation method in which myocardial contractility increases with afterload. It was experimentally determined that increasing afterload caused a proportional linear increase in ventricular inotropy For instance, when LV has to pump against the aorta pressure, & the aorta pressure is after load on LV. If the after-load increases, then against the increasing resistance LV has to contract & eject out the blood, therefore it needs to go on increasing its contractility, this effect has been called as the Anrep effect. Such contractions are called as - Auxotonic contraction.